Joule burns is seen in :
1. Electrocution
2. Thermal injury
3. Radiation injury
4. Lightning

Correct answer: 1. Electrocution

Explanation: A i.e. Electrocution